Neurogetoc shock is characterized by:
1. Hypertension and tachycardia
2. Hypertension and bradycardia
3. Hypotension and tachycardia
4. Hypotension and bradycardia

Correct answer: 4. Hypotension and bradycardia

Explanation: Ans. d. Hypotension and bradycardia